Constrictive pericarditis is associated with each of the following except
1. Radiation therapy for Hodgkins disease
2. Tuberculosis
3. Bacterial (purulent) pericarditis
4. Hypothyroidism

Correct answer: 4. Hypothyroidism

Explanation: Constrictive pericarditis is a condition in which the filling of the heart is limited by the compressive nature of the pericardium. The pericardium acts as a rigid shell around the heart, imposing continuous positive pressure. The filling is, therefore, compromised specifically in diastole when filling is at its maximum. This results in an early diastolic descent followed by a rise and plateau (dip and plateau or square root sign). There are several disease processes that have been attributed to constrictive pericarditis including rheumatic heart disease, radiation therapy, tuberculosis, and purulent pericarditis. Hypothyroidism, however, causes pericardial effusion